Triple examination includes all except:
1. Clinical examination
2. Excision biopsy
3. FNAC
4. Mammography

Correct answer: 2. Excision biopsy

Explanation: Ans. B: Excision biopsy In any patient who presents with a breast lump or other symptoms suspicious of carcinoma, the diagnosis should be made by a combination of clinical assessment, radiological imaging and a tissue sample taken for either cytological or histological analysis, the so called triple assessment